Dimercaperol is contraindicated in poisoning with-
1. Iron
2. Mercury
3. Gold
4. Silver

Correct answer: 1. Iron

Explanation: Ans. is `a' i.e., Iron o Dimercaprol is contraindicated in iron and Cadmium Poisoning as Dimercaperol - Fe and Cd complexes are themselves toxic.